Simplest and most effective method to prevent nosocomial infection
1. Use of antibiotics
2. Use of laminar airflow
3. Use of filters
4. Hand washing

Correct answer: 4. Hand washing

Explanation: As hand contact is the most common mode of transmission,
the best preventive measure of nosocomial infection is proper hand hygiene